What is the mechanism of action of glucagon?
1. Inositol Pathway
2. Arachidonic Acid Pathway
3. c-GMP Pathway
4. c-AMP Pathway

Correct answer: 4. c-AMP Pathway

Explanation: ANSWER: (D) c AMP pathwayREF: Guyton 12th ed pg 948Glucagon causes glycogenolysis in the liver and this in turn increases the blood glucose levels by the following mechanismGlucagon activates adenylyl cyclase in the hepatic cell membraneThis causes formation of cAMPActivation of protein kinase regulator proteinActivation of protein kinaseActivation of phosphorylase b kinaseConversion of phosphorylase b to phosphorylase aDegradation of glycogen to glucose 1 phosphateDephosporylation and release of glucose